Sensory fibers least susceptible to hypoxia ?
1. Type I
2. Type II
3. Type III
4. Type IV

Correct answer: 4. Type IV

Explanation: Ans. is 'd' i.e., Type IVType C fibers (Type IV Lloyd & Hunt) are least susceptible to hyproxia.Local anesthesia, hypoxia and pressure can block the conduction of nerve impulses. Different fibers have different susceptibility :-Most susceptible fibers to pressure are 'A' fibers and least susceptible fibers to pressure are C fibers. Amongst the A fibers, Aa are most susceptible to pressure.Most susceptible fibers to hypoxia are B fibers and least susceptible fibers to hypoxia are C fibers.Most susceptible fibers to local anesthesia are C fibers and least susceptible fibers to LA are A fibers.